Mr. Surya  Kant was prescribed a  first generation   H1 antihistaminic drug. He should be advised to avoid:
1. Driving motor vehicles
2. Consuming processed cheese
3. Strenuous physical exertion
4. All of the above

Correct answer: 1. Driving motor vehicles

Explanation: First generation antihistaminic agents cause sedation and impairment of psychomotor function.